Botulism characterised by  a) Seizure  b) Fever  c) Ascending paralysis  d) Descending symmetrical paralysis  e) Blurring of vision
1. abc
2. bd
3. cde
4. de

Correct answer: 4. de